All are true of standardised mortality ratio except ?
1. Expressed as rate per year
2. Can be adjusted for age
3. Can be used for events other than death
4. Ratio of observed deaths to expected deaths

Correct answer: 1. Expressed as rate per year

Explanation: Ans. is 'a' i.e., Expressed as rate per year o Standardization is most commonly used for age. Standardization can be used not only for age, but also sex, race, parity, etc. SMR is the ratio of observed death to expected death and it is usually expressed as a percentage. o SMR is commonly used in occupational studies for comparison of morality in an industry and general population. o SMR can be used for occurrence of disease (rather than death).